Which of the following poisoning causes priapism and increased desire to pass urine?
1. Snakebite
2. Ratti poisoning
3. Cantharide poisoning
4. Arsenic poisoning

Correct answer: 3. Cantharide poisoning

Explanation: Symptoms of cantharide poisoning: Burning sensation in the mouth and throat, followed pain in the stomach Severe thirst, difficulty in swallowing and speech Dull pain in the loins Scanty, and blood stained urine with increased desire to pass urine Priapism Prostration, convulsions and death Abortion in pregnant female Ref: Textbook of Forensic Medicine and Toxicology by K S Narayan Reddy, 27th edition, Page 490.